Auxiliary rest are
1. Direct retainer
2. Indirect retainer
3. All of the above
4. None of the above

Correct answer: 2. Indirect retainer